Reticulocytes are stained by ?
1. Supravital stain
2. Purssian blue stain
3. H and E stain
4. Reticulin stain

Correct answer: 1. Supravital stain

Explanation: Ans. is 'a' i.e., Supravital stain Usually supravital stains (methylene blue and Brilliant cresyl blue) are used for reticulocytes.